Positive D-xylose test indicates all of the following except:
1. Pancreatic insufficiency
2. Small intestinal mucosal disease
3. Impaired carbohydrate absorption in small intestine
4. Malabsorption

Correct answer: 1. Pancreatic insufficiency

Explanation: Ans. A: Pancreatic insufficiency The urinary D-xylose test for carbohydrate absorption provides an assessment of proximal small-intestinal mucosal function Xylose: It is used to test for malabsorption by administration in water to the patient after fasting. If xylose is detected in blood and/or urine within the next few hours, it has been absorbed by the intestines. Reduction of xylose by catalytic hydrogenation produces the non-cariogenic sugar substitute xylitol. D-xylose absorption test for mucosal disease or bacterial over growth, is normal in pancreatic insufficiency.